After delivery of Heart disease patient the following should be given
1. Ace inhibitors
2. Methergine
3. Furosemide
4. IVF fluids 1000 ml over next 4 hours

Correct answer: 3. Furosemide

Explanation: Inj. furosemide is given to decrease preload in heart disease patient post delivery. Labour Management of Cardiac Patient Limit I.V. fluids Position - semi recumbent Pain relief - opioids and epidural analgesia avoid straining in 2nd stage of labour- Cut short it by forceps/vaccum Inj. furosemide and I.V./ I.M. Oxytocin given to decrease preload methyl ergometrine is C/I Observation in high risk ward for 24 hrs.